Pain of dry socket is experienced on:
1. 1st day after extraction
2. 2nd day after extraction
3. 3rd day after extraction
4. after 7 days

Correct answer: 3. 3rd day after extraction